All are true about warfarin except:
1. Act through inhibition of coagulation factor IX
2. Protamine sulphate reverses its action
3. Monitoring is done through INR
4. Target of INR with warfarin is generally 2-3

Correct answer: 2. Protamine sulphate reverses its action

Explanation: Ans: b. Protamine sulphate reverses its action.Warfarin induced skin necrosis is a rare complication characterized by the appearance of skin lesion 3-10 days after initiation of treatment.Dose of warfarin adjusted to give an INR of 2-4, the precise target depending on the clinical situation.The reference range for prothrombin time is usually around 12-13 seconds and the INn in absence of anticoagulation therapy is 0. 8-1. 2Warfarin: Dose regulation is done by prothrombin time & INR (Heparin/aPTT/clotting time.Antagonist is Vit K (c. f Heparin- Protamine sulphate).